Which of the following findings is diagnostic of iron deficiency anemia?
1. Increased TIBC, decreased serum ferritin
2. Decreased TIBC, decreased serum ferritin
3. Increased TIBC, increased serum ferritin
4. Decreased TIBC, increased serum ferritin

Correct answer: 1. Increased TIBC, decreased serum ferritin

Explanation: Iron deficiency anemia is associated with increased Total iron binding capacity (TIBC) and decreased serum ferritin ( storage form of iron) This happens vice versa in IDA due to secondary infection like CKD. REF: Harrison book of internal medicine 21ST EDITION